Incidence of scar rupture in previous lower segment caesarean section:
1. 1%
2. 5%
3. 6%
4. 7%

Correct answer: 1. 1%

Explanation: Ans: A i.e. 1% Incidence of scar rupture in lower segment CS is less (0.5-1.5%) whereas there is more risk of scar rupture in classical CS (4-9%).